In pancoast tumor, following is seen except-
1. Homer's syndrome
2. Rib erosion
3. Haemoptysis
4. Pain in shoulder and arm

Correct answer: 3. Haemoptysis

Explanation: Haemoptysis is seen in central tumors or endobronchial growth (Pancoast tumor is a peripheral tumor)
Pancoast's tumor (also k/a superior sulcus tumor)

Is a tumor of the apex of the lung
It may grow to cause
shoulder and arm pain - d/t involvement of C8, T1 & T2 nerves
Erosion of ribs
Homer's syndrome (Enopthalmos, Ptosis, Miosis & Ipsilateral loss of sweating)